Pacemaker is formed by which of the following cells in GIT?
1. P- cells
2. Oxyntic cells
3. Cajal cells
4. Parietal cells

Correct answer: 3. Cajal cells

Explanation: Interstitial cells of Cajal are the Stellate Mesenchymal pacemaker cells Ref: Ganong 25th ed/page 496